A 24-yar old male, known epileptic, presented following a seizure with pain in the right shoulder region. Examination revealed that the right upper limb was adducted and internally rotated and the movements could not be performed. Which of the following is the most likely diagnosis -
1. Posterior dislocation of shoulder
2. Luxatio erecta
3. Intrathoracic dislocation of shoulder
4. Subglenoid dislocation of shoulder

Correct answer: 1. Posterior dislocation of shoulder